True about Dual sex therapy is?
1. Patient alone is not treated
2. Uses sildenafil
3. It treats sexual perversions
4. It is used for people with dual gender identities

Correct answer: 1. Patient alone is not treated

Explanation: Patient alone is not treated REF: Kaplan and sadock's synopsis in psychiatry 9th ed p. 700The theoretical basis of dual-sex therapy is the concept of the marital unit or dyad as the object of therapy. In dual-sex therapy, treatment is based on a concept that the couple must be treated when a dysfunctional person is in a relationship. Because both are involved in a sexually distressing situation, both must participate in the therapy program. Dual sex therapy aka "Master and Johnson therapy"Types:Sensate focusing(i) Used for impotence(ii) Focuses on stimulation of organs other than genitals for sexual arousalSqueeze technique or semen's technique(i) Used for premature ejaculation(ii) Female partner squeezes the coronal ridge at the inevitability of male ejaculation, hence delays ejaculation.